Valve of Rosenmuller is present in which part of lacrimal system?
1. Puncta
2. Canaliculi
3. Lacrimal sac
4. Nasolacrimal duct

Correct answer: 2. Canaliculi

Explanation: Answer- B. CanaliculiValve of Rosenmuller is a small flap of mucosa in lacrimal canaliculus at its junction with lacrimal sac.